Dose limiting toxicity of amphotericin B is
1. Infusion related reaction
2. Renal tubular acidosis
3. Myelosuppression
4. Hypotension

Correct answer: 2. Renal tubular acidosis

Explanation: Ref-KDT 6/e p759 Amphotericin B can Cause: Dose limiting nephrotoxicity (A) Infusion related reactions (not dose related) Hypokalemia Hypomagnesenia